Most common deviation used in social medicine is
1. Mean
2. Range
3. Variance
4. Standard deviation

Correct answer: 4. Standard deviation

Explanation: The standard deviation : Most frequently used measure of deviation Defined as "Root -Means -Square -Deviation " Ref : Park's Textbook of Preventive and Social Medicine; 23rd edition - Pgno. 848